A 60 year old male patient wants rehabilitation of missing teeth. Intra-oral examination reveals upper and lower edentulous arches. During the denture fabrication, the flask was filled with a gypsum product. Which gypsum product was filled?
1. Type I
2. Type II
3. Type III
4. Type IV

Correct answer: 2. Type II

Explanation: This model plaster or laboratory Type II plaster is now used principally to fill a flask used in denture construction when setting expansion is not critical and the strength is adequate according to the limits cited in the ADA specification or ISO standard. It is usually marketed in the natural white color, thus, contrasting with stones, which are generally colored.
Reference: Philips’ Dental Material, pg- 190